Which is not a fungus ?
1. Rhinosporidiosis
2. Sporotrichosis
3. Torulosis
4. Candidiasis

Correct answer: 1. Rhinosporidiosis

Explanation: Ans. is 'a' i.e., Rhinospororidiosis . Rhinosporidium Seeberi is not a fungus. "Molecular studies have shown that the organism is not a fungus, but a primitive aquatic bacterium". - Greenwood "By using molecular tools, recently it has been found that R. seeberi is not a fungus but an unusual protist shares phylogenetic features with microbes that cause infection in fish" . Torulosis is a fungal infection caused by crptococcus neoformans which primarily affects CNS and lung.